Causes of hyperkalemia includes all except -
1. Crush syndrome
2. Haemolysis
3. Renal failure
4. Intestinal obstruction

Correct answer: 4. Intestinal obstruction